Major fibril protein in Primary Amyloidosis is?
1. AL
2. AA
3. Transthyretin
4. Procalcitonin

Correct answer: 1. AL

Explanation: Ans. (a) AL(Ref: Robbins 9th/pg 257-260)AL protein is made of complete Ig light chains, amino- terminal fragments of light chains, or both.Most of the AL proteins are composed of l light chains or their fragments, but in some cases k chainsThe amyloid fibril protein of the AL type is produced from free Ig light chains secreted by a monoclonal population of plasma cells, like multiple myeloma.